A 8 year old boy presented with swelling in the left eye of 3 months duration, examination revealed proptosis of left eye with preserved vision. Right eye is normal.CT scan revealed intraorbital extra conal mass lesion.Biopsy revealed embryonal rhabdomyosarcoma.Metastatic work up was normal.The standard line of treatment is:
1. Chemotherapy only
2. Wide local excision.
3. Enucleation
4. Chemotherapy and Radiaton therapy

Correct answer: 4. Chemotherapy and Radiaton therapy

Explanation: D i.e. Chemotherapy and Radiation therapy It is the most common childhood primary orbital malignancy Q and also the m.c. soft tissue malignancy of childhood Q Clinical Presentation Treatment * It presents in 1' decade (.7 year) with rapidly progressive proptosis Q * Radiotherapy followed by chemotherapy Q with vincristine, actinomycin, & cyclosphosphamide * Swelling & injection of overlying skin; but the skin is not * Surgical excision is reserved for rare recurrent or warm. radioresistant tumors. * CT scan shows extraocular mass of homogenous density with bony destruction. * Patients with tumor localized to orbit have a 95% of cure rate.